Fruit juice which helps in preventing UTI
1. Cranberry
2. Raspberry
3. Orange
4. Grape

Correct answer: 1. Cranberry

Explanation: Cranberry juice contains proanthocyanidins that block adherence of pathogens to uroepithelial cells in vitro . Randomized trials in low-risk patients show that 200 to 750 mL daily of cranberry or lingonberry juice or cranberryconcentrate tablets reduce the risk of symptomatic, recurrent infection by 12% to 20% . However, the actual cranberry content of juices and tablets varies substantially; therefore their efficacy is not predictable . Furthermore, other trials of cranberry products show no benefit and there is no evidence that they are effective for treatment of UTIs .( However the best option here is cranberry juice ). ref : Campbell - Walsh urology 11th ed , chapter 12 , pg no : - 274